Oxytocin causes all except
1. Lactogenesis
2. Milk ejection
3. Contraction of uterine muscle
4. Myoepithelial cell contraction

Correct answer: 1. Lactogenesis

Explanation: Oxytocin which is a uterine stimulant -contract the myoepithelial cells of mammary alveoli and forces milk into the bigger milk sinusoids and thus causes milk ejection Prolactin produces milk- lactogenesis (Ref.Essentials of medical pharmacology TD Tripathi 7th edition page no.330)